Which is most common type of Hodgkin's Lymphoma
1. Mixed cellularity
2. Nodular sclerosis
3. Lymphocytic predominant
4. Lymphocytic depletion

Correct answer: 2. Nodular sclerosis

Explanation: Nodular sclerosis is most common type of Hodgkin's Lymphoma.